In left sided massive pneumotliorax, ECG shows all,except -
1. Left axis deviation
2. Absent R wave
3. Peaked P wave
4. Precordial T wave inversion

Correct answer: 1. Left axis deviation